Call Exner bodies are found in -
1. Granulosa Cell Tumour
2. Embryonal cell carcinoma
3. Choriocarcinoma
4. Androblastoma

Correct answer: 1. Granulosa Cell Tumour

Explanation: Ans. is 'a' i.e., Granulosa Ceil Tumour "The formation of Call - Exner bodies is a distinct feature of granulose cells and can be readily recognised in certain types of granulosa cell tumours. "